A girl 15 yrs of age is diagnosed with MRKH (Mayer Rokitansky kuster Hauser Syndrome). Which of these is true for her management?
1. Vaginoplasty to be done as soon as diagnosed
2. Sex of rearing should be male
3. Gonadectomy is to be performed
4. Child bearing can be possible through assisted reproduction

Correct answer: 4. Child bearing can be possible through assisted reproduction

Explanation: vaginoplasty should be done before onset of sexual activity sex of rearing should be female gonadectomy is to be done for Androgen Insensitivity Syndrome and not for MRKH as it has a normal functioning ovary child bearing is possible through assisted reproduction as the patient has normally functioning ovaries, through IVF with surrogacy